The commonest cause of an obliterative stricture of the membranous urethra is -
1. Fall-astride injury
2. Road-traffic accident with fracture pelvis and rupture urethra
3. Prolonged catheterization
4. Gonococcal infection

Correct answer: 2. Road-traffic accident with fracture pelvis and rupture urethra

Explanation: Commonest cause of stricture in posterior urethra → Trauma with fracture pelvis
Commonest cause of stricture in anterior urethra → Straddle injuries (direct trauma to the perineal region).